Which of the following is NOT a bad prognostic sign for pancreatitis?
1. TLC > 16000
2. Calcium < 8 mmol/L
3. Glucose > 200 mg%
4. Prothrombin > 2 time the control

Correct answer: 4. Prothrombin > 2 time the control

Explanation: Ranson's Prognostic signs of Acute Pancreatitis (Caused by causes other than gallstones) At Admission During the initial 48 hrs Age > 55 years WBC > 16,000/mm^3 Blood glucose > 200 mg/dl Serum LDH > 350 IU/dl Serum AST > 250 U/dl Hematocrit fall > 10 points BUN elevation > 5 mg/dL Serum calcium < 8 mg/dL Arterial PO2 < 60 mmHg Base deficit > 4 mEq/dL Estimated fluid sequestration > 6L Also know Prognosis criteria for gallstone pancreatitis At Admission During the initial 48 hrs Age > 70 years WBC > 18,000/mm^3 Blood glucose > 220 mg/dl Serum LDH > 400 IU/dl Serum AST > 250 U/dl Hematocrit fall > 10 points BUN elevation > 2 mg/dL Serum calcium < 8 mg/dL Arterial PO2 < 60 mmHg Base deficit > 5 mEq/dL Estimated fluid sequestration > 4L Ref: Sabiston 18/e, Page 1600; Schwartz 9/e, Page 1183; Washington Manual of Surgery 4/e, Page 282v.